Hirustism may be found in any of these disorders,except-
1. Cushing's syndrome
2. Hypothyroidism
3. Congenital adrenal hyperplasia
4. Polycystic ovarian syndrome

Correct answer: 2. Hypothyroidism